The drug used to treat acyclovir resistant Herpes Simplex Virus (HSV) and Varicella Zoster Virus (VZV) infection is :
1. Foscarnet
2. Valacyclovir
3. Abacavir
4. Ganciclovir

Correct answer: 1. Foscarnet